A 20 year old student presents with history of weight gain, irregular periods and worsening facial hair growth. What is the most likely diagnosis?
1. Polycystic ovarian disease
2. Hypothyroidism
3. Obesity
4. Cushing's syndrome

Correct answer: 1. Polycystic ovarian disease

Explanation: Hirsutism affects 5% to 10% of women The most common cause of hyperandrogenism and hirsutism is polycystic ovarian syndrome. (PCOS) Idiopathic Hirsutism is seen in 20% cases where the USG of abdomen shows a normal Ovary and adrenal with the serum androgens are of normal values. Please note: Idiopathic is not the most common cause of hirsutism! There are only two major criteria for the diagnosis of PCOS: Anovulation/ oligoovulation Hyperandrogenism as established by clinical or laboratory means With or without polycystic ovarian morphology on USG